Abdominal Ultra-sonography in a 3 year old boy show a soild circumscribed hypoechnoic renal mass. Most likely diagnosis is-
1. Wilm's tumor
2. Renal cell carcinoma
3. Mesoblastic nephroma
4. Onceocytoma

Correct answer: 1. Wilm's tumor

Explanation: A i.e. Wilm's tumor